A patient aged 65 years, is diagnosed to have severe aplastic anemia. HLA compatible sibling is available. The best option of treatment is -
1. Anti-thymocyte globulin followed by cyclosporine
2. A conventional bone marrow transplantation from the HLA identical sibling
3. A non-myeloablative bone marrow transplantation from the HLA identical sibling
4. Cyclosporine

Correct answer: 1. Anti-thymocyte globulin followed by cyclosporine